Kehr's sign is present in -
1. Diaphragmmatic rupture
2. Splenic injury
3. Liver abscess
4. Cholelithiasis

Correct answer: 2. Splenic injury

Explanation: Ans. is 'b' i.e., Splenic injury Physical signs present in Splenic injury Signs of peritonitis and severe shock Local tenderness, abdominal rigidity and a rising pulse rate. Tenderness over 9th and 10th rib on the left side Ballance's Sign --> Persistent dullness on the left side of the abdomen with shifting dullness towards the right side due to coagulation of blood from the injured spleen. Kehr's sign -9 Pain referred to the left shoulder. Cullen's Sign --) Pigmentation around the umbilicus.